All the following are complications of massive blood transfusion except
1. Hyperkalemia
2. Hypothermia
3. Hypomagnesemia
4. Hypercalcemia

Correct answer: 4. Hypercalcemia

Explanation: Massive blood transfusion causes Hypocalcemia due to citrate.